Herbert's pits are seen in:
1. Vernal conjunctivitis
2. Atopic conjunctivitis
3. Gonococcal conjunctivitis
4. Chlamydial conjunctivitis

Correct answer: 4. Chlamydial conjunctivitis

Explanation: Trachoma Also called Egyptian ophthalmia is caused by chlamydia trachomatis. Serotypes, A, B, Bart and C are associated with hyperendemic (blinding) trachoma. Most common mode of trachoma spread is through fomites and flies. Reservoir of infection are children with active disease. It is responsible for 15-20% of world's blindness. Leading cause of preventable blindness in the world. Incubation period varies from 5 to 21 days Conjunctival reaction in trachoma is both follicular (conjunctival follicles) and papillary (papillary hyperplasia) Herbert follicles refer to typical trachoma follicles present in the limbal are (pathognomic) Herbert's pits: cicatrized follicles at the superior lumbus. Note Arlt's line: it is thick band of scar tissue in the palpebral conjunctiva of the eye, near the lid margin seen in cicatrizing trachoma